Corticosteroids are absolutely contraindicated in the following type of tuberculosis :
1. Miliary
2. Meningeal
3. Intestinal
4. Renal

Correct answer: 3. Intestinal

Explanation: Corticosteriods are absolutely contra-indicated in intestinal TB due to risk of perforation.